The entry of bacteria through which space could lead to an infection in the mastoid air cells?
1. Nasopharyngeal tube
2. Cochlea
3. External acoustic meatus
4. Internal acoustic meatus

Correct answer: 1. Nasopharyngeal tube

Explanation: The auditory (nasopharyngeal) tube is a connection between the nasal portion of the pharynx and the tympanic cavity that allows pressure to equalize on either side of the tympanic membrane. It is located in the anterior wall of the middle ear and is comprised of bone at the tympanic end and cartilage on the pharyngeal end. The pharyngeal mucosa is continuous with the lining of the tympanic cavity and mastoid air cells. This allows infectious material to pass to the middle ear and mastoid area.